During the early stages of the inflammatory response, histamine induced increased vascular permeability is most likely to occur in:
1. Arteries
2. Precapillary arterioles
3. Capillaries
4. Postcapillary venules

Correct answer: 4. Postcapillary venules

Explanation: Acute inflammation causes fluid and cells to leak out of blood vessels into the interstitial tissue because of increased permeability of postcapillary venules.